Double bubble sign is seen in?
1. Duodenal atresia
2. Pyloric stenosis
3. Jejunal obstruction
4. Ileal obstruction

Correct answer: 1. Duodenal atresia

Explanation: ANSWER: (A) Duodenal atresiaREF: Bailey and love 24(tm) ed p. 1199, Nelson's pediatrics 17th ed p. 1234Double bubble sign is seen inLadds bands, malrotationAnnular pancreasDuodenal atresia, stenosis, web, duplication, obstruction